Why cereals and pulses are combined
1. 10% cereals contain protein and pulses contain 40%
2. Cereals are deficient in methionine and lysine is deficient in pulses
3. Cereals are deficient in lysine and methionine is deficient in pulses
4. Cereals are rich in essential AA

Correct answer: 3. Cereals are deficient in lysine and methionine is deficient in pulses